Drugs used in generalized anxiety disorder are:
1. Alprazolam
2. Paroxetine
3. Venlafaxine
4. All of the above

Correct answer: 4. All of the above

Explanation: Alprazolam is a BZD and hence reduces anxiety and Alprazolam has an additional anti depressant activity. Paroxetine is an SSRI and Venlafaxine is an SNRI so both have anti anxiety action . Hence all the above given drugs can be used. Ref KD Tripati 8th ed.